Which of me following does not show negative Rinne test in the right ear?
1. Sensorineural hearing loss of 45 dB ion left ear and normal right ear
2. Profound hearing loss
3. Conductive hearing loss of 40 dB in both ears
4. Conductive hearing loss of 40 dB in right ear and left ear normal

Correct answer: 1. Sensorineural hearing loss of 45 dB ion left ear and normal right ear

Explanation: Ans. a. Sensorineural hearing loss of 45 dB ion left ear and normal right ear